Which one of the following dental cement accelerates the formation of reparative dentin?
1. Eugenol
2. Calcium hydroxide
3. Zinc oxide
4. Silica

Correct answer: 2. Calcium hydroxide

Explanation: BIOLOGICAL PROPERTIES OF Ca(OH)2 :
Effect on pulp:
The cement is alkaline in nature. The high pH is due to the presence of free Ca(OH)2 in the set cement. The pH ranges from 9.2 to 11.7
Formation of secondary dentin: 
The high alkalinity and its consequent antibacterial and protein lysing effect helps in the formation of reparative dentin.
Ref: Mannapalli ed 3  pg 80